Which of these is a neural tube defect?
1. Spina bifida occulta
2. Encephalocele
3. Dermal sinus
4. All of these are NTD

Correct answer: 4. All of these are NTD

Explanation: Ans. D. All of these are NTDNeural tube defects are failure of closure of the neural tube between 3rd-4th weeks of intrauterine life. Important neural tube defects include spina bifida occulta, meningocele, meningomyelocele, dermal sinus, encephalocele, anencephaly, syringomyelia and diastematomyelia.